Most common cause of hereditary elliptocytosis is mutation in
1. Spectrin
2. Ankyrin
3. Band 3
4. Band 4.1

Correct answer: 1. Spectrin